A 67-year male smoker presents with hemoptysis and cough. Bronchoscopic biopsy revealed an undifferentiated tumor. The immunohistochemical marker that can be most helpful is-
1. Calretinin
2. Vimentin
3. Cytokeratin
4. GGT

Correct answer: 3. Cytokeratin